Wide split S2 occurs in-
1. VSD (ventricular septal defect)
2. Mitral stenosis
3. ASD (Atrial septal defect)
4. Coarctation of aorta

Correct answer: 3. ASD (Atrial septal defect)

Explanation: The second heart sound is widelysplit and is relatively fixed in relation to respiration. A mid-diastolicrumbling murmur, loudest at the fourth intercostal space and alongthe left sternal border, reflects increased flow across the tricuspidvalve. In ostium primum ASD, an apical holosystolic murmur indicatesassociated mitral or tricuspid regurgitation or a ventricularseptal defect (VSD).These findings are altered when increased pulmonary vascularresistance causes diminution of the left-to-right shunt. Both thepulmonary outflow and tricuspid inflow murmurs decrease inintensity, the pulmonic component of the second heart sound anda systolic ejection sound are accentuated, the two components ofthe second heart sound may fuse, and a diastolic murmur of pulmonicregurgitation appears. Cyanosis and clubbing accompanythe development of a right-to-left shunt (see "Ventricular SeptalDefect" below). In adults with an ASD and atrial fibrillation, thephysical findings may be confused with mitral stenosis with pulmonaryhypertension because the tricuspid diastolic flow murmurand widely split second heart sound may be mistakenly thought torepresent the diastolic murmur of mitral stenosis and the mitral"opening snap," respectively. Harrison's principle of internal medicine,20edition,pg no.1556